Adult leydig cells are originated from
1. Fetal leydig cells
2. Undifferentiated progenitor cells which appear in testis before birth
3. Undifferentiated progenitor cells which appear in testis after birth
4. All of the above

Correct answer: 3. Undifferentiated progenitor cells which appear in testis after birth

Explanation: Fetal Leydig cells atrophy after birth and do not contribute to the origin of adult Leydig cells, which originate from undifferentiated progenitor cells that appear in the testis after birth and acquire full steroidogenic function during puberty. Ref Harrison 20th edi page no 2769